How to differentiate ASD from VSD in X-ray:
1. Enalrged LA
2. Normal LA
3. Pulmonary Congestion
4. Aortic shadow

Correct answer: 2. Normal LA

Explanation: B i.e. Normal LA Characteristic findings of ASD include enlarged heart, RA, RV, PA and PV with normal LA & LV and decreased aorta and SVCQ Characteristic findings of VSD include enlarged heart, RA, RV, PA, PV and LAQ. So pulmonary overcirculation/congestion occurs both in ASD & VSD but LA remains normal in ASD & enlarges in VSDQ. Atrial Septal Defect (ASD) In atrial septal defect (ASD), there is a defect between both atrium leading to left to right (L-->R) shunt from left atrium to right atrium, to right ventricle (RV), pulmonary artery (PA) and then pulmonary circulation. Increased blood flow through pulmonary circulation causes hilar dance (increased pulsations of central pulmonary artery), pulmonary plethoraQ, increased size of pulmonary veins & anteries with size larger than accompanying bronchus (kissing cousin sign), dimeter of right descending pulmonary artery > trachea just above aortic knob, enlarged hilar vessels and visualization of vessels below 10th posterior rib (all indicating prominent pulmonary vasculature d/t over circulation). ASD may show cardiomegaly, normal sized left atrium & left ventricle and enlarged right atrium, right ventricle and main pulmonary arteryQ. Due to RV hypertrophy, there is clockwise rotation of heart lit loss of visualization of superior venacava (S VC) and small appearing aorta with normal aortic knob. - Pulmonary pressure remains normal for decades and usually after 40 years of age onset of pulmonary hypertension causes increased R-sL shunting (Eisenmenger syndrome). Ventricular Septal Defect (VSD) - In VSD, there is a defect between both ventricles leading to L-sR shunt from left ventricle (LV) to right ventricle (RV) to pulmonary artery (PA) --> pulmonary vein -s left atrium (LA) -*LV. So all these chambers enlarge with pulmonary vessels being affected last - In nonrestrictive large shunts (>75% of aortic diameter) pulmonary artery hypertension Eisenmenger syndrome develops early. Calcification of PA is vathognomic of PAH.